Tear production in child begins at
1. 4 weeks
2. 4 months
3. 6 months
4. 9 months

Correct answer: 1. 4 weeks

Explanation: Ans. (a) 4 weeks